You have made the diagnosis of vitamin K dependant bleeding manifestation in a neonate. You believe that a drug taken by the mother in the antenatal period is responsible for it. All the following if taken by a pregnant woman can lead to the above mentioned condition, EXCEPT:
1. Phenytoin
2. Phenobarbitone
3. INH
4. Quinine

Correct answer: 4. Quinine

Explanation: The maternal medications responsible for Vit - K dependant bleeding manifestation in a neonate are phenytoin, phenobarbitone, salicylates, INH, rifampicin and dicumarol derivatives. Quinine usually causes thrombocytopenia. Salicylates and thiazides can also cause thrombocytopenia. Ref: Meharban Singh, Edition 3, Page 235